Middle cardiac vein is accompanied by
1. Anterior interventricular artery
2. Left circumflex artery
3. Posterior Interventricular artery
4. Diagonal artery

Correct answer: 3. Posterior Interventricular artery

Explanation: The middle cardiac vein commences at the apex of the heart; ascends in the posterior longitudinal sulcus along with posterior interventricular artery, and ends in the coronary sinus.Ref: V.S Volume 1; 2nd edition; Page: 276